Centre of the disc in TMJ is
1. Avascular
2. Devoid of nervous tissue
3. Avascular & deviod of nervous tissue
4. None of the above

Correct answer: 3. Avascular & deviod of nervous tissue